Which of the following is related to mediastinal part of right lung ?
1. Arch of aorta
2. SVC
3. Pulmonary trunk
4. Left ventricle

Correct answer: 2. SVC

Explanation: Ans. is "b.'' i.e., SVC